Which of the following X-ray should be advised for age determination between 1-13 years of age
1. Shoulder
2. Wrist
3. Elbow
4. Iliac bones

Correct answer: 2. Wrist

Explanation: A bone age study helps doctors estimate the maturity of a child's skeletal system. It's usually done by taking a single X-ray of the left wrist, hand, and fingers. It is a safe and painless procedure that uses a small amount of radiation. ... The bone age is measured in years . Reference: GHAI Essential pediatrics, 8th edition